A male with azoospermia. On examination size of testis normal FSH normal testosterone normal. Most probable cause is:
1. MAL descended testis
2. Klinefelter's syndrome
3. Kallmann's syndrome
4. VAS obstruction

Correct answer: 4. VAS obstruction

Explanation: Ans. is d, i.e. VAS obstructionSince all FSH, LH and Testosterone are normal therefore, it has to be an obstructive cause. Amongst the option, VAS obstruction is the only obstructive cause and hence our answer.